Circular DNA, found in eukaryote cells are found in all, EXCEPT:
1. Nuclear
2. Plasmid
3. Mitochondrial
4. Yeast

Correct answer: 1. Nuclear

Explanation: Circular DNA are occasionally found in eukaryotic cells, including plasmids such as the 2u circle of yeast. Mitochondria and chloroplasts also contain their own genomes, or replicons, which are circular molecules of self-replicating DNA.